True about Pasteurization of milk is all except-
1. Does not kill thermoduric bacteria
2. Does not kill spores
3. Cause >95% decrease in bacterial count
4. Kills tubercle bacillus

Correct answer: 3. Cause >95% decrease in bacterial count

Explanation: Pasteurization kills nearly 90% of the bacteria in milkREF.PARK'S TEXTBOOK OF PREVENTIVE AND SOCIAL MEDICINE.Editon-21.Page no.-606